Tetanospasmin encoding genes are locaed on:
1. Chromosome
2. Plasmid
3. Both
4. Transposon

Correct answer: 2. Plasmid

Explanation: Ans. is. b. Plasmid